Treatment of lithium Induced diabetes Insipidus -
1. Vasopressin
2. Mineralocorticoid antagonist
3. Amiloride
4. Loop diuretic

Correct answer: 3. Amiloride

Explanation: Ans is option 3- amiloride Amiloride is currently the treatment of choice for polyuria in lithium induced diabetic insipidus. Amiloride a potassium sparing diuretic is the drug and raise maximum urinary osmolality in lithium treated patients. It blocks the cellular uptake of lithium ENaC. Thus antogonizing the inhibitory effects of lithium on Vasopressin induced water transport. Ref Harrison 19 /304